Calcitonin levels increased in
1. Hyperthyroidism
2. Hyperparathyroidism
3. Hypoparathyroidism
4. Cushing Syndrome

Correct answer: 2. Hyperparathyroidism

Explanation: Calcitonin secretion is stimulated by increased serum calcium concentration and calcitonin protects against the development of hypercalcemia. Ref:- Ganong's review of medical physiology;